DNA probes:
1. Measure periodontal pocket depth.
2. Identify a particular microorganism
3. Calculate the length of gingival epithelial attachment
4. None of the above

Correct answer: 2. Identify a particular microorganism